"Corn-Cob" appearance seen in
1. Supragingival calculus
2. Subgingival calculus
3. Supragingival plaque
4. Subgingival plaque

Correct answer: 3. Supragingival plaque